MIC-2 is a marker of?
1. Ewing sarcoma
2. Chronic lymphocytic leukemia
3. Mantle cell lymphoma
4. All of these

Correct answer: 1. Ewing sarcoma

Explanation: Harshmohan textbook of pathology 7th edition ☆ In Ewings sarcoma - the cell surface marker by the tumor cells of ES / PNET group is CD99 which is a product of MIC2 gene located on X and Y chromosome.